A Lady presents with greenish discharge and strawberry cervix is due to infection of?
1. Trichomonas vaginalis
2. Hemophilus vaginalis
3. Candida
4. Herpes simplex

Correct answer: 1. Trichomonas vaginalis

Explanation: ANSWER: (A) Trichomonas vaginalisREF: Shaw 15th ed page 155See APPENDIX-65 for "SEXUALLY TRANSMITTED DISEASES"Repeat OBG 1999, 1994 APPENDIX - 65Sexually Transmitted DiseasesSTDSyphilis(chancre)ChancroidLGVGranuloma inguinaleHerpesgenitalCondylomata Acuminata (Genital wart)EtiTreponemapallidumHaemophilusDucreyiChlamydiatrachomatisL1,L2,L3Calymmatobacterium(Donovania)GranulomatisHSV -IIHPV-6,11,16,18,30IP9-90 days3-5 days3-30 days8-80 days3-12 daysWeeks to monthsC/F,MorSingle Painless Hard base Clean ulcerMultiple Painful Soft base UnderminedNo ulcer papule/pustule fuses to form Vesicular Herpetiform lesion (painless)Single Painless Soft, beefy, granulomatous baseMultiple Painful Crusts & heal in lwkMultiplePainlessVerrucouspapillomatousSymptomlessILNGeneralized LN Pathy; Indolent bubo- rubbery, discrete, mobile, nontenderU/LUnilocularTenderInguinal bubo- U/LMultilocularTender,Sign of grooveNo lymph-adenopathyTender LN pathyNo lymph- adenopathyLabDark ground microscopy, VDRL, TPi, FTAbsGram -ve School of fishImmunefluorescenceDonovan bodies in GiemsaTzanck smear, viral culturePCRRxBenzathinepenicillinCeftriaxone or AzithroDoxycycline or AzithroDoxycycline or AzithroAcyclovirPodophyllin or ImiquimodEti = etiology, Mor = morphology of lesion/ulcer,ILN = inguinal lymph node, Rx = treatment, IP = incubation period